Disseminated intravascular coagulation ( DIC) differs from thrombotic thrombocytopenic purpura. In this reference the DIC is most likely characterized by -
1. Significant numbers of schistocytes
2. A brisk reticulocytosis
3. Decreased coagulation factor levels
4. Significant thrombocytopenia

Correct answer: 3. Decreased coagulation factor levels